Sipuleucel - T is a vaccine for:
1. RCC
2. Testicular tumor
3. Carcinoma prostate
4. Carcinoma bladder

Correct answer: 3. Carcinoma prostate

Explanation: In prostate cancer, several immunologic strategies have been under clinical development. The most important of these include the sipuleucel-T(Provenge) autologous prostatic acid phosphates (PAP) - loaded dendritic cell vaccine, the GVAX allogeneic recombinant whole cell vaccine, and CTLA-4 inhibitory approaches.